All are true regarding mesothelioma except
1. Bilaterally symmetrical
2. Associated with asbestos exposure
3. Histopathalogy shows biphasic pattern
4. Occurs in late middle age

Correct answer: 1. Bilaterally symmetrical

Explanation: Mesothelioma is an asbestos exposure releated tumor having Mean age of presentation as 50-70 years. Microscopically it may have both epithelioid and sarcomatoid patterns (biphasic pattern). Option ‘a’…. ‘Pleural mesotheliomas are more commonly right sided (R:L ratio is 3:2) may be because of greater size of right sided pleural cavity. Although usually unilateral at presentation, it is not infrequent to find histological evidence of mesothelioma in the contralateral pleura. Macroscopic evidence of synchronous bilateral pleural tumors is rare’….
Malignant Pleural Mesothelioma 1st/65.